Which of the following is non-natural gas causing greenhouse effect -
1. CO2
2. H2O
3. Hydrofluorocarbons
4. Ozone

Correct answer: 3. Hydrofluorocarbons

Explanation: Ans. is 'c' Le., Hydrofluorocarbons Greenhouse effect o The greenhouse effect is the process by which absorption and emission of infrared radiation by gases in the atmosphere warm a planet's lower atmosphere and surface. Greenhouse gases include - Natural 1) CO2 3) Methane 5) Ozone 2) Nitrous oxide 4) Water vapor Non-natural gases include - 1) Hydrofluorocarbons 3) Perfluorocarbons 2) Sulfur hexafluoride